Vector born diseases are – a)  Epidemic typhusb) Japanese encephalitisc)  Tetanusd)  Hangra virus diseasee)  KFD
1. abc
2. abe
3. cde
4. acd

Correct answer: 2. abe